Ocular bobbing?
1. Midbrain
2. Pons
3. Medulla
4. Cortex

Correct answer: 2. Pons

Explanation: Ans. is 'b' i.e., Pons Square-wave erks Not localizing Macro square-wave erks Cerebellum Macrosaccadic oscillation Cerebellum Voluntary nystagmus Volitional Saccadic pulses Cerebellum, lower brainstem Ocular flutter Cerebellum, lower brainstem Opsoclonus Cerebellum, lower brainstem Ocular bobbing Pons